Arrow Head Sign on CT is feature of?
1. Acute Appendicitis
2. Ileocecal TB
3. Crohns Disease
4. CHPS

Correct answer: 1. Acute Appendicitis

Explanation: Arrowhead sign: Refers to the focal caecal thickening centered on the appendiceal orifice, seen as a secondary sign in Acute appendicitis. The contrast material in the cecal lumen assumes an arrowhead configuration, pointing at the appendix. The arrowhead sign is applicable only when enteric contrast distends the caecum. *CT is the more sensitive investigation to detect acute appendicitis than USG. *USG is the preferred investigation for acute appendicitis in children and CT scan in adults.